All of the following statements about Diploic veins are true except
1. Develop around 8th wks of gestation
2. These have no valves
3. Present in cranial bones
4. Have a thin wall lined by single layer of endothelium

Correct answer: 1. Develop around 8th wks of gestation

Explanation: Diploic veins form sinuses in cancellous tissue between laminae of cranial bones.The skull is unilamellar at birth without any dipole. The diploic veins start to develop at around 2 years of age along it diploe.These veins are lined by endothelium supported by some elastic tissue and are valveless.Reference"Chaurasia's human anatomy vol 3 ,4th edition, page no.96